The upper 3/4th of vagina develops from -
1. Mullerian duct
2. Wolfian duct
3. Sino vaginal bulb
4. Endoderm

Correct answer: 1. Mullerian duct

Explanation: Ans 'a' i.e., Mullerian duct FATE OF THE GENITAL DUCTSI MESONEPHRIC/WOLFFIAN DUCT(main genital duct in males)In mates:o Posterior wall of prostatic urethra proximal to opening of ejaculatory ductso Ureteric bud forming ureter, pelvis, calyces and collecting tubuleso Trigone of bladdero Appendix of epididymiso Vas deferenso Epididymiso Ejaculatory ductso Prostateo Seminal vesiclesIn females:o Posterior wall of female urethrao Ureteric budo Trigone of bladdero Paroophorono EpoophoronII. PARAMESONEPHRIC/MULLERIAN DUCT(main genital duct in females)In females:o Fallopian tubeso Uteruso Upper 3/4 of vaginaIn males:o Appendix of testiso Prostatic utricleo The urinary bladder except the trigone, the lower 1/4 of the vagina and the distal part of mate urethra are derived from the urogenital sinus which is endodermal in origin. The above two ducts are mesodermal in origin.